Which cancer has maximum propensity to spread to cervical lymph nodes -
1. Nasopharyngal carcinoma
2. Carcinoma of hard palate
3. Carcinoma of soft palate
4. Carcinoma of mandible

Correct answer: 1. Nasopharyngal carcinoma

Explanation: Ans. is 'a' i.e., Nasopharyngal carcinoma "Nasopharynx is a centrally located structure with extensive submucosal capillary lymphatic plexus. Partly due tc this extensive lymphatic existance, NPC has a propensity of lymph node involvement in its early stages. Clinica, evident cervical lymph adenopathy is seen in more than 86% of the patients with nasopharyngeal carcinoma"